This is an instrument used in those days for opening the ostia of sinuses in cases of sinusitis. The tip is blunt. The instrument is used by Surgeons now to drain abscess in the following regions except.
1. Neck
2. Axilla
3. Parotid
4. Back

Correct answer: 4. Back

Explanation: Ans. (d) Back* This method of drainage of abscess is known as Hilton's method.* This is used in places with multiple nerves and vessels to avoid injury to them during Incision and Drainage.* Specifically used in Neck, Axilla and Parotid region abscess